Wood's light can be used for evaluation of -
1. Tinea capitis
2. Freckles
3. Vitiligo
4. All

Correct answer: 4. All

Explanation: Ans. is 'a' i.e., Tinea capitis; 'b' i.e., Freckles; 'c' i.e., Vitiligo . A wood's lamp generates 360-nm UV light. . It is used in the evaluation of : - Tinea capitis - Freckles - Erythrasma - Tinea versicolor - Wounds colonized by Pseudomonas - Ash leaf spots in patients with tuberous sclerosis. - Vitiligo